Intraorbital abscess formation occurs most commonly in which quadrant of the orbit?
1. Superotemporal
2. Superonasal
3. Inferonasal
4. Inferotemporal

Correct answer: 2. Superonasal

Explanation: Ans. Superonasal